Maximum function of corpus luteum occurs :
1. At ovulation
2. Before ovulation
3. 3 days after ovulation
4. 9 days after ovulation

Correct answer: 4. 9 days after ovulation

Explanation: 9 days after ovulation